Mercaptoethanol splits Ig molecule into
1. Two H and two L chains
2. Two Fab fragments and one Fc fragment
3. One Fab and two Fc
4. Two H and one L chain

Correct answer: 1. Two H and two L chains

Explanation: It cleaves only disulphide bonds thus forming two H and two L chains.